Peripheral resistance is inversely proportional to:
1. Radius of the vessel
2. Viscosity of blood
3. Length of the vessel
4. Elasticity of the vessel wall

Correct answer: 1. Radius of the vessel

Explanation: Poiseuille-Hagen equation: (for the flow of a fluid in a rigid cylindrical tube) Q = P x (pr4/8el) Q = flow, P (or P1 - P2) = pressure difference between two points, r = radius of the tube, e = viscosity of the fluid, and l = length of the tube. By Ohm's law: Q = P/R; OR R = P/Q. {R = resistance} Thus, viscous resistance (R) can be given by combining the above two formula: R = (8el)/(pr4) Thus, viscous resistance is proportional to the viscosity (e) of the fluid and the length (l) of the tube. inversely proportional to the fourth power of the radius of the tube (blood vessel). Thus option A is correct.